CHALCOSIS is due to the deposition of which metal in tissue?
1. Arsenic
2. Copper
3. Mercury
4. Lead

Correct answer: 2. Copper

Explanation: The presence of copper deposits in the tissues is called chalcosis. It is due to the chronic poisoning by copper. Copper may be deposited in the cornea resulting in a pigmented ring in the deeper layers. It may occur in workers with the metal due to inhalation of dust or from food being contaminated with verdigris. Ref: The Essentials of Forensic Medicine and Toxicology 29th Ed Page 491.